Homer's syndrome consists of all of the following features except:
1. Ptosis
2. Dilated pupil
3. Anhidrosis
4. Endophthalmos

Correct answer: 2. Dilated pupil

Explanation: Horner's syndrome is caused by paralysis of sympathetic fibres to the ipsilateral orbit and face.Ptosis is due to denervation of Muller's muscle which is supplied by the sympathetic fibres. This muscle arises from aponeurosis of levator palpebrae superior is and inserts in the upper border of tarsal plate. Its function is to raise the lid.Anhidrosis is due to interruption of secretomotor to sweat glands.Sympathetic fibres normally dilate the pupil and their interruption would cause constriction of pupil (not dilatation).